Kemicetine solution does not include
1. Chloroform
2. Estradiol
3. Propylene Glycol
4. Vitamin D2

Correct answer: 1. Chloroform

Explanation: Kemicetine solution has chloramphenicol,Estradiol,Propylene Glycol,Vitamine D2.